A 25-year old patient with a history of recent respiratory tract infection complains of severe chest pain at rest. The ECG of the patient is given. The most probable diagnosis of the patient is?
1. Acute MI
2. Prinzmetal angina
3. Takotsubo cardiomyopathy
4. Acute pericarditis

Correct answer: 4. Acute pericarditis

Explanation: The history points to a recent viral infection that could contribute to the development of pericarditis. Acute Pericarditis -Most common cause of pericarditis is idiopathic or viral. -ECG findings: Heart rate= 75 bpm Axis= normal PR interval= 0.16 sec QRS= 0.08 sec QT= 400 msec Uniform ST segment elevation - Concave upwards (RED) in all the leads ST segment depression (BLUE) in aVR seals the diagnosis of pericarditis.